Arthus phenomenon is an example of which hypersensitivity -
1. Type I
2. Type II
3. Type III
4. Type IV

Correct answer: 3. Type III

Explanation: Arthus reaction is type III hypersensitivity reaction. Type III hypersensitivity reaction is immune complex diseases. Damage is caused by antigen- antibody complexes. These may precipitate in and around small blood vessels causing damage to cells secondarily or on membranes, interfering with their function. Reference : Anathanarayan & paniker's 9th edition, pg no:162